Not found in cerebral palsy is:
1. Hypotonia
2. Microcephaly
3. Ataxia
4. Flaccid paralysis

Correct answer: 4. Flaccid paralysis

Explanation: Ans. D. Flaccid paralysisFlaccid paralysis is not a feature of Cerebral palsy. Flaccid paralysis is a feature of lower motor neuron disease.Cerebral palsy is a static encephalopathy and a disorder of posture and movement often associated with:* A deficit in the motor, language, and social milestones* Microcephaly is a feature of cerebral palsy because of insult to the developing brain.* Dystonic CP is associated with hypotonia* Extrapyramidal CP is associated with ataxia* It is an upper motor neuron disease characterized by rigidity and scissoring gait.* Spastic cerebral palsy is the common type (65%)